Which complex in mitochondrial ETC does not pump out H ions -
1. Complex I
2. Complex II
3. Complex III
4. Complex IV

Correct answer: 2. Complex II

Explanation: Ans. is 'b' i.e., Complex II